Timolol is preferred in glaucoma over pilocarpine, because -
1. It is more effective than pilocarine
2. Enhances uveo-scleral outflow
3. Produces less ocular side effects
4. It has no contraindications

Correct answer: 3. Produces less ocular side effects

Explanation: Ans. is 'c' i.e., Produces less ocular side effects Advantages of topical p-blockers (timolol) over miotics (pilocarpine) No change in pupil size (no miosis) o No fluctuation in I.O.T. No induced myopia o Convenient once/twice daily applications No ciliary spasm (no spasm of accomodation) o Few systemic side effects.